The mechanism of action of haloperidol is the blockage of
1. Serotonin receptor
2. GABA receptor
3. Dopamine receptor
4. Adrenergic receptor

Correct answer: 3. Dopamine receptor

Explanation: (C) Dopamine receptor # Haloperidol, Trifluperidol, Droperidol, Penfluridol are Butyrophenones and act as antipsychotic drugs.> All antipsychotic (except clozapine like) have potent dopamine D2 receptor blocking action.> So, it is clear that Haloperidol act by blocking dopamine receptor.> Uses of haloperidol are in acute schizophrenia, Huntington's disease.> Clozapine has significant 5-HT2 and at blocking action.> Dopaminergic blockade in basal ganglia cause extrapyramidal sign while that in CTZ is responsible for antiemel action.